Laron dwarfism occurs due to?
1. GH deficiency
2. GH receptor resistance
3. GHRH deficiency
4. IGF-1 deficiency

Correct answer: 2. GH receptor resistance

Explanation: Growth hormone insensitivity syndrome is also known as Laron dwarfism which is characterized by the receptor anomalies and immunological suppression seen in these patients. Its a type of Autosomal recessive disorder